Not a B cell lymphoma -
1. Mycosis fungoides
2. CLL
3. Hairy cell leukemia
4. Mantle cell lymphoma

Correct answer: 1. Mycosis fungoides

Explanation: Mycosis fungoides is a slowly evolving cutaneous T-cell lymphoma occuring in middle aged adult males Ref: Harshmohan textbook of pathology pg:359